Tumor lysis syndrome all occurs except -
1. Hyperkalemia
2. Hypercalcemia
3. Hyperuricemia
4. Hyperphosphatemias

Correct answer: 2. Hypercalcemia

Explanation: Ans. is 'b' i.e., Hypercalcemia Tumor lysis syndrome occurs during the treatment of malignanciesIt is most frequently seen during the treatment of Burkitt9s lymphoma?Tumor lysis syndromeDestruction of large number of rapidly proliferating neoplastic cells leads to release of a number of intracellular electrolytes which causes following effect:Hyperuricemia QThis is produced due to destruction of large number of malignant cells. This huge turnover of cells due to killing of the cells produces hyperuricemia.Hyperuricemia may be present from the beginning due to increased turnover of the cells in malignancy. Hyperphosphatemia QCaused due to release of intracellular phosphate pool by tumour cell lysis.Hypocalcemia QHyperphosphatemia produces reciprocal decrease in serum calcium.Hyperkalemia QPotassium is the principal intracellular cation and massive destruction of malignant cells may lead to hyperkalemiaLactic acidosis and dehydration